The local anaesthetic toxicity is maximally seen with?
1. Epidural
2. Intercostal space
3. Caudal space
4. Sciatico-femoral nerve block

Correct answer: 2. Intercostal space

Explanation: According, the rate of systemic absorption is greatest with intercostal nerve blocks followed by caudal, lumbar epidural, brachial plexus block femoral and sciatic nerve blocks. Sequence of systemic absorption IV > Tracheal > Intercostal block > Para cervical block > Caudal > Lumbar epidural > Brachial Plexus > Sciatic > Subcutaneous.